False about Polio -
1. Descending paralysis
2. Bilateral symmetrical
3. Non-progressive
4. LMN type paralysis

Correct answer: 2. Bilateral symmetrical